Incubation period of HBV is ?
1. 45 to 180 days
2. 6 to 60 days
3. 10 days
4. 10 hrs

Correct answer: 1. 45 to 180 days

Explanation: Ans. is 'a' i.e., 45 to 180 days